Which of the following drugs can cause "Churg Strauss syndrome"
1. Omalizumab
2. Theophylline
3. Montelukast
4. Zileuton

Correct answer: 3. Montelukast

Explanation: Montelukast and Zafirlukast are leukotriene receptor antagonists used in bronchial asthma, which can lead to “Churg strauss syndrome” characterized by vasculitis and eosinophilia.